Local Anaesthetic in wound/ulcer management
1. Prilocaine
2. Chlorprocaine
3. Benzocaine
4. Bupivacaine

Correct answer: 3. Benzocaine

Explanation: For management of wound/ulcer, local anaesthetic with topical anaesthetic action is usedAmong the given options, only benzocaine has topical action.(Refer: Morgan and Mikhail's Clinical Anaesthesiology, 5th edition, pg no. 271)